Carcinoma cervix extends up to lateral pelvic wall. The stage would be:
1. Stage I
2. Stage II
3. Stage III
4. Stage IV

Correct answer: 3. Stage III

Explanation: Ans. is c, i.e. Stage IIIRef: Novak 15th/ed, p1317, Devita 8th/ed, p1501 Table 42-2-2 and p1503Carcinoma extending to pelvic wall means stage III.